Highest amount of vitamin D content among the following is seen in:
1. Egg
2. milk
3. butter
4. cod liver oil

Correct answer: 4. cod liver oil

Explanation: Dietary sources of vitamin D: DISINFECTANT Mg/100 g Egg 1.25-1.5 butterl 10.5-1.5 Milk 0.1 Cod liver oil 200-750 Halibut liver oil 500-10,000 Ref: Park 22nd edition, page 572